Which of the following is used in beta-blocker overdose?
1. Atropine
2. Nor-Epinephrine
3. Glucagon
4. Calcium chloride

Correct answer: 3. Glucagon

Explanation: Glucagon increases heart rate and myocardial contractility and improves atrioventricular conduction. These effects are unchanged by the presence of beta-receptor blocking drugs. This suggests that glucagon's mechanism of action may bypass the beta-adrenergic receptor site. Because, it may bypass the beta-receptor site, glucagon can be considered as an alternative therapy for profound beta-blocker intoxications. The dose of glucagon required to reverse severe beta-blockade is 50 micrograms/kg iv loading dose, followed by a continuous infusion of 1-15 mg/h, titrated to patient response.